Which is not true about Beclomethasone
1. Indicated for chronic use
2. Inhalational steroid
3. Effective in acute asthma
4. Predispose to fungal infection

Correct answer: 3. Effective in acute asthma

Explanation: Refer Katzung 11/e p 348. Beclomethasone is an inhalational steroid useful in prophylaxis of asthma It can also cause oropharyngeal candidasis For acute attack of asthma bronchodilators are used Steroid are slow to act therefore not effective bin acute attack